Antihypertensives act by all of the following mechanism except:
1. Na. ATPase inhibition
2. Alpha adrenergic blockade
3. Beta adrenergic blockade
4. Potassium channel opener

Correct answer: 1. Na. ATPase inhibition

Explanation: Ans: A i.e. Na+ K+ ATPase Antihypertensives and mechanism of action Digitalis increases increase force of cardiac contraction (cardiac inotropic) by selectively binding to extracellular face of the membrane associated Na' K' ATPase of myocardial fibres and inhibits it. Digitalis is used in congestive heart failure and cardiac arrhythmias. Prazosin, terazosin, doxazosin, phentolamine and phenoxybenzamine are alpha adrenergic blocking anti-hypertensive drugs. Propranolol, metoprolol, atenolol etc. are some of the beta adrenergic blocking anti-hypertensive drugs Minoxidil and diazoxide are potassium channel openers which were used earlier in severe hypertension and hypertensive emergencies.